Drugs that crosses placenta is
1. Isoniazid
2. Rifampicin
3. Pyrazinamide
4. All

Correct answer: 4. All

Explanation: Reference KDT 6/e p748 All first line antitubercular drugs can cross placenta Streptomycin is contraindicated in pregnancy whereas other drugs are found to be safe